Brain tumors are best seen in which modality?
1. USG
2. X-ray diffraction
3. CT
4. CE-MRI

Correct answer: 4. CE-MRI

Explanation: MRI is the Imaging Modality of choice for Neurological Imaging and Soft tissue evaluation Preferred investigation for Brain Tumors is a Contrast Enhanced MRI